Pseudobulbar palsy is seen with
1. Unilateral goigandbar lesions
2. Bilateral corticobulbar lesions
3. Cranial nerve IX involvement
4. Cranial nerve N involvement

Correct answer: 2. Bilateral corticobulbar lesions

Explanation: Answer- B. Bilateral corticobulbar lesionsThis pattern of weakness results from disorders that affect the upper motor neurons or their axons in the cerebral cortex, subcortical white matter, internal capsule, brainstem, or spinal cord.With corticobulbar involvement, weakness usually is observed only in the lower face and tongue; extraocular, upper facial, pharyngeal, and jaw muscles almost always are spared.With bilateral corticobulbar lesions, pseudobulbar palsy often develops: dysarthria, dysphagia, dysphonia, andemotional lability accompany bilateral facial weakness and a brisk jaw jerk.